All of these signs are included in Silverman-Anderson score except?
1. Nasal flaring
2. Cyanosis
3. Grunting
4. Chest movements

Correct answer: 2. Cyanosis

Explanation: Cyanosis is not used in SILVERMAN ANDERSON SCORE: Score Chest movement Intercostal retraction Xiphoid retraction Nasal flaring Grunt 0 Sync none none none none 1 Lag on inspiration Just visible Just visible Minimal Stethoscope 2 See-saw Marked Marked Marked naked ears Silverman Anderson Retraction Score is mostly used for preterms with HMD.